Which of following  inhibits gastric emptying
1. Secretin
2. CCK
3. GIP
4. All of the above

Correct answer: 4. All of the above

Explanation: Gasrtrin stimulates gastric emptying CCK, secretin, GIP inhibits gastric emptying.